True statement about adenocarcinoma lung are
1. Common in females
2. Not associated with smoking
3. Central cavitation is a charachteristic feature
4. None

Correct answer: 1. Common in females

Explanation: Answer is A (More common in females) Adenocarcinoma is the most common .form oflung cancer in women and Adenocarcinoma usually presents as a peripheral lesion. Adenocarcinoma is common in females Adenocarcinoma is the most common type of lung cancer in women Adenocarcinoma is associated with smoking, but may be seen in nonsmokers All histological types of lung cancer are associated with smoking' - Harrison However lung cancer can also occur in individuals who have never smoked and the most common type of lung cancer in life time non smokers is adenocarcinoma Adenocarcinomas are usually more peripherally located (Robbins 7th/760) `Squamous and small cell carcinomas usually present as central masses while adenocarcinoma and large cell cancers tend to present as peripheral nodules or masses' - Harrison